Battle sign -
1. Periorbital ecchymosis
2. Mastoid bleed
3. Nose bleed
4. Bleed from tympanic membrane

Correct answer: 2. Mastoid bleed

Explanation: The synopsis of forensic medicine & toxicology;Dr k .s narayan reddy; 28th edition; pg.no. 107; A bruise behind the ear may indicate a basal fracture rather than a direct blow behind the ear .(BATTLE 'S SIGN) It is an example of ectopic bruising or percolated contusion.